Bone within bone appearance is seen in -
1. GV1L
2. Osteoporosis
3. Osteopetrosis
4. Bone infarct

Correct answer: 3. Osteopetrosis

Explanation: Ans. is 'c' i.e., Osteopetrosis o Bone within a bone appearance may be seen in osteopetrosis.Bone within a Bone appearanceo Bone within a bone appearance is seen in : -# Normal neonate# Prostaglandin El therapy# Growth arrest/recovery lines# Heavy metal (e.g., Lead) poisoning# Bisphosphonate therapy# Hypothyroidism & Hypoparathyroidism# Sickle cell anemia# Hypercalcemia & Hypervitaminosis D# Osteopetrosis# Rickets / Osteomalacia (healed phase)# Acromegaly# Scurvy (healed phase)